Autoclaving is done in:
1. Dry air at 121 degree C and 15 psi
2. Steam at 100 degree C for 30 minutes
3. Steam at 121 degree C for 15 minutes
4. Dry air at 160 degree C for 30 minutes

Correct answer: 3. Steam at 121 degree C for 15 minutes

Explanation: Ans. is 'c' i.e., Steam at 121 degree C for 15 minutes(Ref: Ananthanarayan, 9th/e, p. 32 and Baveja, 4th/e, p. 33) Steaming at 121 for 15 mins at 15lbs pressure.